Feature differentiating dependence from other substance abuse:
1. Easily controlled substance taking behaviour
2. Strong desire to take the substance
3. Hallucinations
4. All of the above

Correct answer: 2. Strong desire to take the substance

Explanation: Ans. B: Strong desire to take the substance A central descriptive characteristic of the dependence syndrome is the desire (often strong and sometimes overpowering) to take psychoactive substances (which may or may not have been medically prescribed), alcohol, or tobacco. Few common substance of abuse: Opioids: Intoxication causes euphoria, respiratory depression, hypothermia, hypotension, pupillary constriction Opioid withdrwal synrome is chracterized by anxiety, darrnea, yawning, pupillary dilatation, insomina etc. Opioid overdosage is treated by naloxone or naltrexone For detoxification/withdrwal, methadone or clonidine is used DOC for opioid overdose: Naloxone Naltrexone: Used in opioid dependent (for rapid detoxification and maintenance therapy) Cannabis: Also known as marijuana, hashish, charas, bhang Most active principle is THC/tetrahaydrocannabinol MC sibstance of abuse in India is: Cannabis Effects of high doses are psychotic symptoms, decreased motivation (antimotivational syndrome), flashback phenomenon etc. Terms and associated substance: Morbid jealousy: Alcohol Magnan symptom/ coacaine bugs/tactile hallucination: Cocaine Run amok, amotivational syndrome: Cannabis Flash back, bad trips: LSD Paranoid features: Amphetamine